Amyloid material can be best diagnosed by:
1. Polarized microscopy
2. Electron microscopy
3. X-ray crystallography
4. Scanning electron microscopy

Correct answer: 1. Polarized microscopy